Earliest detectable Congenital Malformation by USG is:
1. Spina bifida
2. Cystic hygroma
3. Anencephaly
4. Encephalocele

Correct answer: 3. Anencephaly

Explanation: Anencephaly